Brunner's gland is a histological finding of
1. Esophagus
2. Stomach
3. Duodenum
4. Liver

Correct answer: 3. Duodenum

Explanation: Brunner's gland is a histological finding of duodenum which is present in submucosa which secretes mucus which is alkaline in nature and neutralises the acid in duodenum so that enzymes could work at their optimum pH.It also heals the ulcer by increasing mitotic activity. Peyer patches or Lymphoid follicles seen in Lamina propria.